A patient with sputum positive pulmonary tuberculosis is on ATT for the last 5 months but the patient is still positive fo AFB in the sputum. This case refers to -
1. New case
2. Failure case
3. Relapse case
4. Drug defaulter

Correct answer: 2. Failure case

Explanation: - any patient treated with category I of DOTS who has a positive s near at 5 months of the treatment should be considered as failure case. - the patient should be started with Category II treatment afresh. Reference : Park's textbook of preventive and social medicine, 23rd edition, pg no:188